A 58-year-old man is diagnosed as having a slowly growing tumor in the deep perineal space. Which of the following structures would most likely be injured?
1. Bulbourethral glands
2. Crus of penis
3. Bulb of vestibule
4. Spongy urethra

Correct answer: 1. Bulbourethral glands

Explanation: The deep perineal space contains the bulbourethral (Cowper) glands. The crus of the penis, bulb of the vestibule, spongy urethra, and great vestibular gland are found in the superficial perineal space. Greater vestibular glandis in the superficial perineal space between inferior fascia of urogenital diaphragm and membranous layer of superficial perineal fascia